Endodontics term was coined by
1. Dr Grossman
2. Dr Johnston
3. Dr G.V. Black
4. Dr Rochman

Correct answer: 2. Dr Johnston